All of the following are indications for surgery in a case of duodenal ulcer EXCEPT -
1. Acute perforation of ulcer
2. Pyloric stenosis
3. Massive haemorrhage
4. Typical periodicity

Correct answer: 4. Typical periodicity